Select the true statement regarding Tetanus
1. No period of communicability
2. India eliminated tetanus in 2010
3. Also known as 2nd day disease
4. One dose TT gives Life long immunity

Correct answer: 1. No period of communicability

Explanation: Causative agent : Clostridium tetani (Gram + bacilli , anaerobic, drum stick appearance) Incubation period : 6-10 days No person to person transmission. Herd immunity does not protect individuals. Tetanus toxin: second most lethal toxin (Most lethal toxin is botulinum toxin). Lethal dose for 70 kg man : 0.1kg India was declared maternal & neonatal tetanus eliminated in July 2016. Neonatal Tetanus is also known as 8th day disease.